A 32-year old adult male broke the jaw of another in an alleged fight. The investigating police officer :
1. Can arrest him only after procuring warrant
2. Can arrest him without warrant
3. May declare him hostile and put him in jail
4. May declare him sociopath and send him to mental asylum

Correct answer: 2. Can arrest him without warrant

Explanation: Ans. b. Can arrest him without warrant (Ref: Parikh 6/e p1.46, 6.27: Reddy 33/e p292, 31st/e p265-273)Fracture or dislocation of mandible is a 'Grievous injury for which punishment is defined under IPC325. It is a 'cognizable offence' hence a police officer can arrest the accused without warrant."Cognisable offence: An offence for which a police officer can arrest a person without warrant from magistrate e.g. rape, robbery, murder, dowry death, ragging, death due to rash or negligent act. "Grievous Injury (Sec 320 IPC)QEmasculation.Permanent privation of either eyeQPermanent privation of either earPrivation of any member (part, organ or limb) or jointPermanent disfiguration of head or faceQFracture or dislocation of a bone or a toothQDestruction or permanent impairing of powers of any member or jointAny hurt which endangers life, or which causes the sufferer to be, during the space of 20 days, in severe body pain, or unable to follow his daily routineQ.